A 40 year old man has megaloblastic anemia and early signs of neurological abnormality. The drug most probably required is:
1. Folic acid
2. Iron sulphate
3. Erythropoietin
4. Vitamin B12

Correct answer: 4. Vitamin B12

Explanation: Deficiency of vitamin B12 results in megaloblastic anemia and demyelination. It can cause subacute combined degeneration of spinal cord and peripheral neuritis.